Why is Covid-19 a major global concern despite the property of influenza to spread faster than Covid-19 ?
1. Median incubation period is more in influenza
2. Reproductive number for covid-19 is 2-2.5
3. Serial interval is 5-6 days in influenza
4. Reproductive number for Influenza is more

Correct answer: 2. Reproductive number for covid-19 is 2-2.5

Explanation: Influenza Covid-19 Median incubation period 2 days 5.5 days Serial interval 3 days 5-6 days Mortality 0.1% 3% Though Influenza spreads faster than covid 19 but mortality and reproductive number is higher for covid-19 due to which it is a disease of global concern . Reproductive number- No. of secondary infections generated from one infected person, which 2-2.5 in case of Covid-19